Autonomic fibres are rich in which type of neurotransmitter
1. Acetylcholine
2. Noradrenaline
3. GABA
4. Epinephrine

Correct answer: 1. Acetylcholine

Explanation: The principal transmitter agents involved in autonomic nervous system are acetylcholine and norepinephrine. The neurons that are cholinergic are 1)all preganglionic neurons, 2) all parasympathetic postganglionic neurons, 3) sympathetic postganglionic neurons that innervate sweat glands and 4)sympathetic postganglionic neurons that end on blood vessels in some skeletal muscles and produce vasodilation when stimulated. The remaining sympathetic postganglionic neurons which is only minimal are noradrenergic ( ie, release norepinephrine). Ref: Ganong's review of medical physiology; 23rd edition; pg: 265-266.